Healthy volunteers are recruited in which phase of clinical trials?
1. Phase 1
2. Phase 2
3. Phase 3
4. Phase 4

Correct answer: 1. Phase 1

Explanation: Phase 1- Done on healthy people. Maximum tolerable dose of drug is tested Phase 2- Done on fewer patients (20-200) . Efficacy and safety of drug is tested here Phase 3-Done on more patients ( upto 5000).Efficacy is confirmed in this phase Phase 4- Post marketing surveillance. Long term and rare side effects are monitored in this phase